Operation for chronic Pancreatitis are the following except
1. Beger's procedure
2. Longitudinal pancteaticojejunostomy
3. Frey's procedure
4. None

Correct answer: 4. None

Explanation: Surgical procedure Drainage Puestow procedure Paington and Rochelle Modification of puestow's procedure Duval procedure Beger's procedure Warren's modification of Beger's procedure Frey's procedure Berne modification Hamburg modification of Frey's Ref: Sabiston 20th edition Pgno :1534